HBPT (etidronic acid) acts as
1. Chelating agent like EDTA
2. Tissue dissolving agent like NaOCl
3. Both
4. None

Correct answer: 1. Chelating agent like EDTA

Explanation: HBPT acts as chelating agent and does not affect tissue dissolving capacity of NaOCl.